These ventral spinal rootlets are more prone to injury during decompressive operations because they are shorter and exit in a more horizontal direction:
1. C5
2. C6
3. C7
4. T1

Correct answer: 1. C5

Explanation: A ie C5